Most common pemphigus is –
1. Pemphigus vulgaris
2. Pemphigus vegetans
3. Pemphigus foliaceus
4. Pemphigus erythematosus

Correct answer: 1. Pemphigus vulgaris

Explanation: Most common variant of pemphigus → P. vulgaris
Least common variant of pemphigus → P. vegetans